Three years back a woman had exposure to an earthquake and she was successfully saved. After recovery she has nightmares about the episode and she also gets up in the night and feels terrified. The MOST probable diagnosis is :
1. Major depression
2. Post-traumatic stress disorder
3. Mania
4. Schizophrenia

Correct answer: 2. Post-traumatic stress disorder

Explanation: This woman was exposed to a traumatic event following which she is getting flashbacks about the event and is having difficulty in sleeping. All of these symptoms indicates a diagnosis of post traumatic stress disorder. Post traumatic stress disorder is an anxiety disorder characterized by re experiencing a traumatic event and decreased responsiveness and avoidance of current events associated with the trauma. They experience illusions, sleep problems, nightmares, difficulties in concentration, and hyperalertness. Patients with acute stress disorder develops similar symptoms shortly after the traumatic event but they lasts between 2 and 28 days. Ref: CURRENT Medical Diagnosis & Treatment 2014 chapter 25 By Stuart J. Eisendrath, MD.